True statement regarding bromocriptine is:
1. It acts as agonist to dopamine receptors
2. It can be used in active peptic ulceration
3. It does not cause postural hypotension
4. It has possible neuroprotec live effect

Correct answer: 1. It acts as agonist to dopamine receptors

Explanation: Ans: A (It acts as agonist to dopamine receptors) Ref: Basie ami Clinical Pharmacology by Katzung, 2012. 12th ed. Pg 489Explanation:Bromocriptine is a dopaminergic D2 agonist used in the treatment of parkinsonism in the past. Now it has been replaced by more efficacious newer dopaminergic drugs namely ropinirole and pramipexole.Dopaminergic agonists cause postural hypotension as an adverse effect especially in the beginning of therapy.Bromocriptine being an ergot derivative can cause painful digital vasospasm in a dose dependent manner following chronic use.Among the newer dopaminergic agonists, pramipexole with affinity towards D3 receptors has been found to havre possible neuroprotective action in dopaminergic cell cultures.Dopaminergic agonists have been reported to cause bleeding from peptic ulcer. Hence dopaminergic agonists are contraindicated in active peptic ulcer, psychotic diseases and recent myocardial infarction.